In cerebral angiography, the dye is injected through –
1. Femoral artery
2. Brachial artery
3. Axillary artery
4. Radial artery

Correct answer: 1. Femoral artery

Explanation: On MRI, diagnostic confusion occasionally arises between arachnoid cysts and epidermoid cysts. The two masses may have similar characteristics on T1-weighted and T2-weighted images, and neither shows enhancement with gadolinium.
However, arachnoid cysts follow CSF signals on all sequences, in particular on FLAIR sequence, in contradistinction to epidermoid cyst.
Diffusion-weighted images (DWIs) allow easier differentiation of the two masses.